Osmoreceptor is located in
1. Supraoptic nuclei
2. Paraventricular nuclei
3. Anterior hypothalamus
4. Lateral hypothalamus

Correct answer: 3. Anterior hypothalamus

Explanation: Ans. (c) Anterior hypothalamus(Ref: Ganong, 25th ed/p.308)Osmoreceptors maintain water balance and osmolarityThey are located in anterior hypothalamus